Early gastric cancer generally indicates :
1. Gastric adencarcinoma detected early
2. Gastric adenocarcinoma confined to the mucosa
3. Gastric adenocarcinoma confined to the mucosa & submucosa
4. Gastric adenocarcinoma less than 1 cm. In size

Correct answer: 3. Gastric adenocarcinoma confined to the mucosa & submucosa

Explanation: Answer is C (Gastric adenocarcinoma confined to mucosa and submucosa): Early gastric carcinoma is defined as a lesion confined to the mucosa and submucosa regardless of the presence or absence of perigastric lymphnode metastasis